For MTP conset is taken from -
1. Wife only
2. Husband only
3. Both
4. Neither

Correct answer: 1. Wife only

Explanation: Ref:Textbook of forensic medicine and toxicology (V.V.Pillay) 17th edition, page no.370 As per MTP Act 1971 any women over the age of 18 years can give written consent for an abortion. In case of minor or a lunatic, the consent of the guardian/is required.